The most common nerve involvement is dislocation of Lunate is -
1. Median nerve
2. Anterior interosseus
3. Posterior interosseus
4. Ulnar nerve

Correct answer: 1. Median nerve

Explanation: Dislocation of carpal bones 

Dislocation of carpal bones may be of two types:-

1)  Lunate dislocation

Lunate dislocate anteriorly but the rest of the carpals remain in position.
Complications may be AVN, osteoarthritis and median nerve injury.

2)  Perilunate dislocation

The lunate remains in position and the rest of the carpals dislocate dorsally.